Trilene when used with Sodalime causes ?
1. Renal damage
2. ARDS
3. Myocardial depression
4. Hepatitis

Correct answer: 2. ARDS

Explanation: Ans. is 'b' i.e., ARDS o Following agents react with soda lime : Sevoflurane is degraded by contact with CO2 absorbant (soda lime) in anaesthesia machine, yielding a vinyl ether called Compound A which can cause renal damage. Trilene produces phosgene (causing ARDS) and dicholoro acetylene (causes neurotoxicity) when used with sodalime.